30 Yr old man which is most likely organism causing infection of epididymis -
1. E.coli
2. Gonococci
3. Chlamydia
4. Ureaplasma ureolyticum

Correct answer: 3. Chlamydia